Amotivational syndrome is seen with:
1. Heroin
2. Cannabis
3. Cocaine
4. Clonidine

Correct answer: 2. Cannabis

Explanation: Ans. Cannabis